Fasciculation is seen in:
1. UMN type of lesion
2. LMN type of lesions
3. Myoneural junction
4. Peripheral neuropathy

Correct answer: 2. LMN type of lesions

Explanation: Answer is B (LMN type of lesion): Fasciculations is a feature of Lower Motor neuron lesions especially in anterior horn cell disease.